Which among the following is the structure of hemoglobin?
1. Monomer
2. Homodimer
3. Heterodimer
4. Tetramer

Correct answer: 4. Tetramer

Explanation: Hemoglobins are tetramers composed of pairs of two different polypeptide subunits.
Ref: Harper’s illustrated biochemistry. 30th edition page no: 54